First sign of compartment syndrome is ?
1. Pain
2. Tingling
3. Loss of pulse
4. Loss of movement

Correct answer: 1. Pain

Explanation: Ans. is 'a' i.e., Pain Clinical features of compartment syndrome Four signs are reliable in diagnosing a compartment syndrome :- Paresthesia or hypesthesia in nerves traversing the compartment Pain with passive stretching of the involved muscles (stretch pain) Pain with active flexion of the muscles Tenderness over the compartment Amongst these, stretch pain is the earliest sign of impending compartment syndrome. The ischemic muscles, when stretched, give rise to pain. Passive extension of fingers (streching the fingers) produce pain in flexor compartment of forearm. Other features are Pulselessness, paralysis, Pallor and pain out of proportion to physical findings. Peripheral pulses, are present initially and disappear later. Therefore, pulse is not a reliable indicator for compartment syndrome.